Full form of LCAT is:
1. Lecithin cholesterol acyltransferase
2. Lecithin choline acyl transferase
3. Lecithin cholesterol alkyl transferase
4. Lecithin choline alcohol transferase

Correct answer: 1. Lecithin cholesterol acyltransferase

Explanation: Ans: A (Lerithin cholestenol...) (Ref Harper29thf242J56 ; Lippincott 6th/234-36 ]" LCAT stands for lecithin.cholestero!acyltransferase - Harper 29th/242Plasma LCAT Is Responsible for Virtually All Plasma Cholesteryl Ester in Humans Harper 29tb/256LCAT activity is associated with HDL containing apo A-I. As cholesterol in HDL becomes esterified, it creates a concentration gradient and draws in cholesterol from tissues and from other lipoproteins, thus enabling HDL to function in reverse cholesterol transportCholesteryl Ester Transfer Protein Facilitates Transfer of Cholesteryl Ester from HDL to Other Lipoproteins Harper 29th/256This protein, associated with HDL, is found in plasma of humans and many other species. It facilitates transfer of cholesteryl ester from HDL to VLDL, 3DL, and LDL In exchange for triacytglycerol, relieving product inhibition of LCAT activity'1 in HDL. Thus, in humans, much of the cholesteryl ester formed by LCAT finds its way to the liver via VLDL remnants (1DL) or LDL . The triacylglycerol-enriched HDL., delivers its cholesterol to the liver in the HDL cycle